Which of the following is treatment of choice for Wegener's granulomatosis:
1. Antibiotics
2. Steroids
3. Analgesics
4. Antiviral therapy

Correct answer: 2. Steroids

Explanation: Ans. B: Steroids Management of systemic vasculitis (which includes Wegener's granulomatosis) is with high dose corticosteroids and immunosuppressives Wegener's granulomatosis: Necrotizing vasculitis of small arteries and veins together with granuloma formation that can be either intravascular or extravascular Lung involvement: - Bilateral nodular cavitary infiltrates, - demonstrate necrotizing Granulomatous vasculitis - Renal biopsy shows lesion that of pauci-immune necrotizing and crescentic GN